A 42 year old smoker has developed an acute anterior wall myocardial infarction. The coronary angiogram done on him is likely to show an obstruction of the -
1. Left anterior descending artery
2. Left posterior descending artery
3. Right coronary artery
4. Circumflex artery

Correct answer: 1. Left anterior descending artery

Explanation: Occlusion of the left anterior descending coronary artery (LAD) may cause infarction of the anterior wall of the left ventricle, manifested as precordial ST-segment elevations. Inferior ST-segment elevations due to occlusion of a LAD may reflect an ischemia of wrapped LAD artery . Ref Davidson 23rd edition pg444